Which of the following is the most prominent feature of immunoproliferative small intestinal disease (IPSID)?
1. Malabsorption
2. Obstruction
3. Bleeding
4. Abdominal pain

Correct answer: 1. Malabsorption

Explanation: Ans. a. Malabsorption IPSID is a variant of the B-cell lymphoma of mucosa associated lymphoid tissue (MALT), which involves mainly the proximal small intestine resulting in malabsorption, diarrhea, and abdominal pain."- al-Saleen T and al-Mondhiry H. Immunoproliferative small intestinal disease (IPSID): a model for mature B-cell neoplasms. Immunoproliferative Small-Intestinal Disease (IPSID) IPSID is recognized as an infectious pathogen-associated human lymphoma that has association with Campylobacter jejuniQ IPSID is associated with excessive plasma cell differentiation and produces truncated alpha heavy chain proteins lacking the light chains as well as the first constant domainQ. Variant of the B-cell lymphoma of mucosa associated lymphoid tissue (MALT) Most prevalent in the Middle East and Africa Clinical Features: It involves mainly the proximal small intestine resulting in malabsorption, diarrhea, and abdominal painQ Most untreated IPSID patients progress to lymphoplasmacytic and immunoblastic lymphoma invading the intestinal wall and mesenteric lymph nodes, and may metastasize to a distant organ.Q Treatment Early-stage IPSID responds to antibiotics (30-70% complete remission)Q Most untreated IPSID patients progress to lymphoplasmacytic and immunoblastic lymphomaQ Patients not responding to antibiotic therapy are considered for treatment with combination chemotherapy used to treat low-grade lymphomag.Q